The most specific antibody for Rheumatoid arthritis is?
1. Antinuclear antibody (ANA)
2. Rheumatoid factor
3. Anti-cyclic citrullinated peptide (anti-CCP) antibody
4. Anti-double stranded DNA antibody

Correct answer: 3. Anti-cyclic citrullinated peptide (anti-CCP) antibody

Explanation: Anti-CCP is the most specific antibody for rheumatoid arthritis with specificity of 95%. 20% patients have elevated ANA and ESR. CRP levels are elevated proportional to disease activity.